Which of the following cell types are specific to a latent genital infection with HSV-2
1. Sacral ganglia
2. Neural sensory ganglia
3. Trigeminal ganglia
4. Vagal nerve ganglia

Correct answer: 1. Sacral ganglia

Explanation: Latent infection by HSV-2 has been shown to occur primarily in the sacral ganglia, whereas HSV-1 latency has been demonstrated in trigeminal, superior cervical, and vagal nerve ganglia. Varicella- zoster virus remains latent in neural sensory ganglia. Ref:- Baveja textbook of Microbiology